Northern blot is for:
1. DNA
2. RNA
3. Protein
4. DNA protein interaction

Correct answer: 2. RNA

Explanation: Ans. B. RNANorthern blotRNASouthern blotDNAWestern blotProteinEastern blotPost-translational modified protein